Pelkan spur is seen in –
1. Rickets
2. Scurvy
3. Hemophilia
4. All

Correct answer: 2. Scurvy

Explanation: Pelkan spur is seen in scurvy.